USG can detect gestation sac earliest at:
1. 5-6 weeks of gestation
2. 7-8 weeks of gestation
3. 10 weeks of gestation
4. 12 weeks of gestation

Correct answer: 1. 5-6 weeks of gestation

Explanation: A i.e. 5-6 weeks of gestation